Polishing agent for amalgam
1. Tin oxide
2. Iron oxide
3. Alumina
4. Silica

Correct answer: 1. Tin oxide

Explanation: TIN OXIDE:
This extremely fine abrasive material is used extensively as a polishing agent for polishing teeth and metallic restorations such as dental amalgams in the mouth. It is mixed with water, alcohol or glycerin to form a mildly abrasive paste.
Phillips Science of Dental Material 12th Edition Page. 245-246.